Which of the following findings provides the best evidence of insect sting hypersensitivity?
1. Positive prick or intradermal skin test
2. Extensive local reaction lasting 5-7 days
3. Documented evidence of a systemic allergic reaction
4. Specific antivenom IgE antibodies

Correct answer: 3. Documented evidence of a systemic allergic reaction

Explanation: Clinical documentation of a systemic allergic reaction is essential to the accurate diagnosis of insect sting hypersensitivity. Typically, signs of anaphylaxis develop within minutes after the sting. Subsequent prick or intradermal skin testing, supplemented as necessary by antivenom IgE levels (determined by radioallergosorbent test ), provide confirming evidence of hypersensitivity. A large local reaction alone, whether of short or prolonged duration, does not provide sufficient evidence of IgE-mediated hypersensitivity. Antivenom IgG levels are used to chart the response to immunotherapy.